The folds of Hoboken are found in :
1. Amnion
2. Placenta
3. Uterus
4. Umbilical cord

Correct answer: 4. Umbilical cord

Explanation: Folds of Hoboken are transverse intimal folds protruding into the lumen of umbilical arteries.